Pain and temperature sensation is carried by:
1. Ventral spinothalamic tract
2. Lateral spinothalamic tract
3. Corticospinal tract
4. Dorsal column

Correct answer: 2. Lateral spinothalamic tract

Explanation: (B) Lateral spinothalamic tract > Above 45degC, the temperature sensation becomes that of pain because tissue damage begins to occur.